17 years old pregnant woman has scattered small, raised lesions on trunk and axillary freckles. The mode of inheritance of this condition
1. Autosomal dominant
2. Autosomal recessive
3. X linked dominant
4. X linked recessive

Correct answer: 1. Autosomal dominant

Explanation: . Autosomal dominant